Cause of acute pancreatitis all EXCEPT:
1. Gallstones
2. Alcohol
3. Starvation
4. Hypercalcemia

Correct answer: 3. Starvation

Explanation: Ans. C i.e. Starvation